Treatment of choice in Choledochal cyst is
1. Roux-en-Y hepaticjejunostomy
2. Cystojejunostomy
3. Choledochoduodenostomy
4. Choledochojejunostomy

Correct answer: 1. Roux-en-Y hepaticjejunostomy

Explanation: Treatment of Choledochal cyst Type I : Roux-en-Y hepaticojejunostomy Type II: Excision with T-tube REPAIR, Roux-en-Y hepaticojejunostomy Type III: Endoscopic sphincterectomy and cyst unroofing Type IVA: Hepatic resection for localised disease, Liver transplantation for diffuse diseases Type IVB: Transduodenal sphicteroplasty and Roux-en-Y hepaticojejunostomy Type V: Hepatic resection for localised disease, Liver transplantation for diffuse disease Ref: Sabiston 20th edition Pgno :1511